All of the following disease may be acquired by ingestion except -
1. Taeniasis
2. Guinea worm
3. Toxoplasmosis
4. Leishmaniasis

Correct answer: 4. Leishmaniasis